Most cardiotoxic local anesthetic
1. Procaine
2. Bupivacaine
3. Cocaine
4. Lidocaine

Correct answer: 2. Bupivacaine

Explanation: Bupivacaine is the most cardiotoxic LA (Ropivacaine is a newer bupivacaine congenial with less cardiotoxicity).(Refer: stoelting's pharmacology and physiology in anaesthetic practice, 5th edition, pg no.294)